End-tidal CO2 is increased to maximum level in :
1. Pul. embolism
2. Malignant hyperthermia
3. Extubation
4. Blockage of secretion

Correct answer: 2. Malignant hyperthermia

Explanation: B i.e. Malignant hyperthermia Unilateral absence (or decrease) of breath sounds over one lung (especially left) after a speedy intubation suggests a diagnosis of inadvertent endobronchial intubation. End tidal CO2 may be low, normal or raised after an endotracheal intubation. Tlie presence of high end tidal CO2 however excludes a diagnosis of esophageal intubation which is associated with reduced or absent end tidal CO2. Malignant hyperthermia show marked rise in ETCO2.